A 9-year-old girl presents for evaluation of regular vaginal bleeding. History reveals the thelarche at the age of 7 years and adrenarche at the age of 8 years. The most common cause of this condition in girls is:
1. Idiopathic
2. Gonadal tumors
3. McCune-Albright syndrome
4. Hypothyroidism

Correct answer: 1. Idiopathic

Explanation: Pubertal changes before the age of 8 years in girls and 9 years in boys are considered as Precocious puberty Most common cause of precocious puberty in girls - Idiopathic Others causes: Congenital lesions of the hypothalamus-pituitary Acquired lesions--trauma, infection, neoplasm-- tuberculosis (TB) meningitis in childhood Part of a specific syndrome--McCuneAlbright (5%), von Recklinghausen's neurofibrobromatosis Endocrine/metabolic disorders